Child rolls over by
1. 3 months
2. 6 months
3. 7 months
4. 8 months

Correct answer: 2. 6 months

Explanation: Once the assymetric tonic reflex disappears, baby learns to roll over from prone to supine and vice versa. Between 4 to 6 months, baby learns to roll over from back to side and then from back to stomach. Ref: Ghai, 9 th edition, page- 42.